Vande Matram Scheme is included in-
1. RCH
2. ICDS
3. IMCI
4. NRHS

Correct answer: 1. RCH

Explanation: Ans. is 'a' i.e., RCH o New initiatives in RCH are : i) Training of PHC doctors in life saving anaesthetic skills for emergency obstetric care a FRUS ii) Setting up blood storage centres at FRUS. iil) Janani suraksha yojna iv) Vandernataram scheme v) Safe abortion services vi) Integrated management of childhood illnesses.